Streptococcal toxic shock syndrome is due to liberation of-
1. TSS - 1
2. Enterotoxin
3. Pyrogenic exotoxin
4. Endotoxin

Correct answer: 3. Pyrogenic exotoxin

Explanation: Ans. is 'c' i.e., Pyrogenic exotoxin . Streptococcal toxic shock syndrome ---> Pyrogenic exotoxin 'A' . Staphylococcal toxic shock syndrome -Toxic shock Syndrome Toxin Type - 1 (TSST-1) also known as enterotoxin-F or Pyrogenic exotoxin C. Rarely enterotoxin B or C may also cause TSS.